Acute hepatocellular failure in a patient of cirrhosis of liver is precipitated by -
1. Upper gastrointestinal bleeding
2. Large carbohydrate meal
3. Portal vein thrombosis
4. Intravenous albumin infusion

Correct answer: 1. Upper gastrointestinal bleeding